Which of the following is an intermediate level disinfectant ?
1. 2% glutarldyhyde
2. Ethylene oxide
3. Hypochlorite
4. None

Correct answer: 3. Hypochlorite

Explanation: Ans. is 'c' i.e., Hypochlorite